Typical bilateral inferior subluxation of lens is seen in
1. Marfan syndrome
2. Homocystinuria
3. Hyperinsulinemia
4. Ocular trauma

Correct answer: 2. Homocystinuria

Explanation: In homocystinuria the subluxation is inferior nasal where as in marfans syndrome it is superior temporal hyperinsulinemia does not present with subluxation whereas in ocular trauma there is no specific direction Refer: Khurana 6th edition page number 198